All the following statements regarding Adenosine are true EXCEPT -
1. Dipyridamole potentiates its action
2. Used to produce controlled Hypotension
3. Administered by slow I.V injection
4. Administered by rapid I.V injection

Correct answer: 3. Administered by slow I.V injection

Explanation: Ans. is 'c' i.e., Administered by slow L.V. injection o Adenosine is given by rapid i.v. injection (not slow i.v. injection)o Adenosine is the DOC for RS.VT.o Dipyridamole potentiates its action by inhibiting uptake, while theophylline / caffeine antagonize its action by blocking adenosine receptors.o Other uses of adenosine Diagnosis of tachycardias dependent on A-V node. To induce brief coronary vasodilatation during certain diagnostic / interventional procedure. To produce controlled hypotension during surgery.